VIPoma is associated with which syndrome:
1. Zollinger Ellison
2. Verner Morrison
3. Carcinoid syndrome
4. Cushing's syndrome

Correct answer: 2. Verner Morrison

Explanation: VIPomas are endocrine tumors that secrete excessive amounts of vasoactive intestinal peptide (VIP),
Excessive VIP causes a distinct syndrome characterized by large-volume diarrhea, hypokalemia, and dehydration. This syndrome also is called Verner-Morrison syndrome, pancreatic cholera, and WDHA syndrome for watery diarrhea, hypokalemia, and achlorhydria.
The principal symptoms are large-volume diarrhea (100%) severe enough to cause hypokalemia (80-100%), dehydration (83%), hypochlorhydria (54-76%), and flushing (20%).
In adults 80-90% of VlPomas are pancreatic in location, with the rest due to VIP-secreting pheochromocytomas, intestinal carcinoids, and rarely ganglioneuromas.